5-Lipo - oxygenase synthesis inhibitor is
1. Zileuton
2. Zafirleucast
3. Monteleucast
4. Omalizumab

Correct answer: 1. Zileuton

Explanation: (Zileuton) (175, 223-KDT 6th)ZILEUTON -- is a 5 LOX inhibitor blocks LTC4/D4 as well as LT B4 synthesis, clinical efficacy in asthma similar to montelucast. The duration of action is short with hepatotoxic potential. These limitations have restricted to useLEUKQTRIENE ANTAGONIST (Montelukast, Zafirlukast) are indicated for prophylactic therapy of mild to moderate asthma as alternatives to inhaled glucocorticoids, churg- strauss syndrome is an important complications.OMALIZUMAB - Anti-IgE antibody - is a recombinant DNA derived monoclonal antibody that selectively binds to human immunoglobulin E (IgE) uses - Moderate to severe allergic asthmaCORTICOSTEROIDSA. Systemic:- Hydrocortisone, Prednisolone and othersB. Inhalational - Beclomethasone, dipropionate, Budesoride,fluticasone.propionate, Flunislide, Ciclesonide * Nodocromil is mast cell stabilizer* Loading dose of Aminophylline is - 5-6 mg/kg*** Long acting beta-2 (b2) agonist is - Salmetarol*** Albuterol - selective b2 receptor agonist* Letrozole is an aromatase inhibitor**